In leucopenia, which cell type is predominantly involved?
1. Erythrocytes
2. Granulocytes
3. Eosinophils
4. Monocytes

Correct answer: 2. Granulocytes

Explanation: Leucopenia  
The absolute granulocyte count is particularly low (below 1500/µl) with relative lymphocytosis. The neutrophils are morphologically normal, but their alkaline phosphatase score is high.
Reference:  Textbook of Pathology, Harsh Mohan, 7th ed page no 302